Which of the following is selenium containing enzyme?
1. Xanthine oxidase
2. Glutathione peroxidase
3. Superoxide dismutase
4. Lysyl oxidase

Correct answer: 2. Glutathione peroxidase

Explanation: Other examples of Selenium containing enzymes are:(Selenocysteine is a part of these enzymes)

Thioredoxin reductase
Deiodinase
Glutathione peroxidase